Fibrinolytic that is antigenic?
1. Streptokinase
2. Urokinase
3. Altepase
4. Tenecteplase

Correct answer: 1. Streptokinase

Explanation: ANSWER: (A) StreptokinaseREF: KDT 6th edition page 606The clinically important fibrinolytics are:StreptokinaseUrokinaseAlteplase (rt-PA)ReteplaseTenecteplaseStreptokinase:It is obtained from B haemolytic Streptococci group C.It is inactive as such: combines with circulating plasminogen to form an activator complex which then causes limited proteolysis of other plasminogen molecules to plasmin.Antistreptococcal antibodies present due to past infections inactivate considerable fraction of the initial dose of Stk: a loading dose is necessary in the beginning. Its t/z is estimated to be 30-80 min.Streptokinase is antigenic; can cause hypersensitivity reactions and anaphylaxis, especially when used second time in a patient.Repeat doses are also less effective due to neutralization by antibodies. Fever is common, hypotension and arrhythmias are reported.